All of the following hereditary conditions predispose to CNS tumors, except -
1. Neurofibromatosis 1 & 2
2. Tuberous sclerosis
3. Von-Hippel-Lindau syndrome
4. Xeroderma pigmentosum

Correct answer: 4. Xeroderma pigmentosum